Which of the following does NOT belong to group B Arbo virus?
1. Dengue virus
2. Japanese encephalitis virus
3. West Nile virus
4. Chikungunya virus

Correct answer: 4. Chikungunya virus

Explanation: Group A arbovirus include: Chikungunya Sindbis Group B Arbovirus include: Dengue KFD Japanese Encephalitis West Nile Ref: Park 21st edition, page 260.